A 56 year old chronic smoker, mass in bronchus resected. What is the possible marker:
1. Cytokeratin
2. Vimentin
3. Epithelial membrane Cadherin
4. Leukocyte

Correct answer: 1. Cytokeratin

Explanation: Ans. (a) Cytokeratin(Ref: Robbins 9th/pg 715-717)Chronic smoker with mass in bronchus suggests a diagnosis of small ell Ca and squamous cell ca.Diagnosis for squamous cell Ca is Keratinization ("squamous pearls") Q on light microscopy, diagnosed by cytokeratin and/or Intercellular bridges Q on electron microscopy is diagnostic.